Baroreceptor stimulation produces:
1. Decreased heart rate & BP
2. Increased heart rate & BP
3. Increased cardiac contractility
4. All

Correct answer: 1. Decreased heart rate & BP

Explanation: A i.e. Decreased HR & BP Baroreceptors are the stretch receptors in the walls of heart & blood vessels eg carotid sinus & aortic arch receptors, receptors in walls of atria at enterance of SVC, IVC & pulmonary veins and receptors in pulmonary circulation (cardio- pulmonary receptors). These are stimulated by distension of the structure in which they are located 1/t vagal innervation of heart and producing vasodilation, venodilation, a drop in BP, bradycardia & decrease cardiac outputQ.